What is affected in bipolar disorder
1. Emotions
2. Perception
3. Personality
4. Thought

Correct answer: 1. Emotions

Explanation: Bipolar disorder earlier known as manic-depressive psychosis is characterised by recurrent episodes of mania and depression in the same patient at different times. These episodes can occur in any sequence. (Ref: a short textbook of psychiatry, NirajAhujaa, 7th edition, pg no.73)